Which among the following is NOT secreted by adrenal medulla:
1. Epinephrine
2. Nor epinephrine
3. Dopamine
4. Cortisol

Correct answer: 4. Cortisol

Explanation: The adrenal medulla secretescatecholamines which include epinephrine, norepinephrine and dopamine. About 80% of adrenal medullarycatecholamine is epinephrineand rest is norepinephrine. Apart from catecholamines, the adrenal medulla also contains small amounts of dynorphins, neurotensin, encephalin, somatostatin and substance P. Synthesis of catecholamines include four steps: 1. Conversion of tyrosine to DOPA 2. Conversion of DOPA to dopamine 3. Conversion of dopamine to norepinephrine 4. Conversion of norepinephrine to epinephrine